Visual processing center is located in -
1. Frontal lobe
2. Temporal lobe
3. Parietal lobe
4. Occipital lobe

Correct answer: 4. Occipital lobe

Explanation: Ans. is 'd' i.e., Occipital lobe o The occipital lobe is the visual processing center of brain containing most of the anatomical region of visual cortexo Primary visual area is brodmann area 17 (also called VI) on medial side of occipital lobe in calcarine sulcus. It is also called as striate area or striate cortex because it can be identified by a large stripe of myelin, the stria of gennari.LobeArea (Area No.)LocationFunctionLesion1. FrontalMotor area (4)Premotor are (6)Frontal eye field (6, 8)Precentral gyrusControls volumatary motor activitiesControl EPSResponsible for voluntary eye movt.Cont./L. Hemiparesis (UMN type)Deviation of eye towards the side of lession (Saccadic movts. of eye)Motor speech area (44,45) (Broca's area) Prefrontal cortex (9,10,11,12)Inferior frontal gyrusControls spoken speech (Language)Motor (Broca's/expressive) aphasiaEmotional controlSocial behaviorLack of initiationAntisocial behavior2. ParietalSomatic sensory area1 Primary somesthetic area S-I (3, 1, 2)Post central gyrusHighest area for general conscious Sense perception (touch, pain, temp)Defect in sensory perception & processing to S-II S-IISylvian fissureLearning based on tactile discrimini Sensory speechSensory aphasia(will produce difficiency in learning in blinds) Somato sensory association area (5,7)Posterior part of parietal lobeSynthesis of senses (formed sense) Maintenance of body image, constructional skills,Spatial orientationTactile agnosia (astereognosis) Neglect of opp. half of body (constructional apraxia, dressing apraxia)3. TemporalAuditosensory area (41,42)Gyrus of Heschl in floor of lat. sulcusAuditory perception (Sound is heard) Sound is 'interpreted'Impaired hearing (deafness if B/L extensive lesion)Auditory agnosia, impaired non-verbal memory Smell balanceWernicke's aphasia4. OccipitalVisuosensory area (17) (striate aera) Visuopsychic area (18,19) (Parastriate/ area)Post calcarine sulcusHighest area for perception of visual senseCorrelation of visual impulses with past memory & recognition of object seen & also the depth.Homonymous hemianopia with macular sparing (because macular area has largest representation)Visual agnosia